Dysgeusia/hypogeusia is seen in deficiency of which mineral
1. Zinc
2. Selenium
3. Iron
4. Copper

Correct answer: 1. Zinc

Explanation: Answer- A. ZincDysgeusia is altered (distorted) sensation of taste or simply bad taste in mouth. It may be metallic taste, rancid taste, salty taste, sour of foul taste.Important causes of dysgeusia are-Nutritional deficiency- Zinc deficiency, Vitamin B-12 deficiency